PACS in medical imaging stands for:
1. Portal Archiving Common System
2. Photo Archiving Computerized System
3. Picture archieving communication system
4. Planning archiving communication scheme

Correct answer: 3. Picture archieving communication system

Explanation: C i.e. Picture archiving communication system Picture archiving & communication system (PACS) makes hospitals filmless; as it uses digital imaging modalities like ultrasound, CT, MRI and digital x-ray (rather than traditional x ray films). Electronic patient record (EPR) or Electronic medical record (EMR) accommodate electronic patient case notes, discharge summaries, clinical letters & prescription data. Hospital or clinical information system (HIS/CIS) or patient administration system (PAS) is a computer system holding data such as patient demographics (name, address, family doctor name, hospital number, other personal information), neumerical results from laboratory tests (biochemistry, bacteriology), virology, immunology, haematology), and reports of clinical investigations (endoscopy, bronchoscopy, biopsy) as well as scheduling information eg out patent clinic appointments, hospital admissions, bed state & occupancy and patient discharge information. It is the most important system of hospital & major part of EPR. Remote requesting system (RRS) / Remote order entery and order communications (order comms) is an electronic means of requesting & booking investigations from a remote location eg. wards, OPD etc. Radiological information system (RIS) is responsible for scheduling & booking examinations in various rooms within the imaging department. It serves as repository of radiological reports once they have been typed. Digital imaging and communication in medicine (DICOM) & Health level 7 (HL7).